Kveim test is used for -
1. Tuberculosis
2. Systemic lupus erythematosis tissue
3. Sarcoidosis
4. Cystic fibrosis

Correct answer: 3. Sarcoidosis

Explanation: Ans. is 'c' i.e.. Sarcoidosis Kveim-Siltzbath skin testo It is a useful intradermafi diagnostic testo The antigen is prepared from involved lymph node or spleen is injected intradermallyo In a positive test, nodular lesions appears in 3-6 weeksQ at the inoculation site, which on microscopic examination shows presence of noncaseating granulomasQ (sarcoidosis like lesions)o The kveim siltzbath material is no longer available and with the use of transbronchial biopsy to obtain lung parenchym for diagnostic purposes, the kviem siltzbath test is only of historic interest.Laboratory anomaliesCommon abnormalities in the blood includeo Lymphocytopenia, mild eosinophiliaQo Increased E.S.R., hyperglobulinemiaQo Elevated level of ACE0o False positive tests for rheumatoid factor or ANA'sQo Hypercalcemia or an ele\>ated 24 hr urine calcium levelQo The lung function abnormalties of sarcoidosis are typical for interstitial Lung diseaseQ and include decreased lung volumes with and diffusing capacity' with a normal or supernormal ratio of the forced expiratory volume in is to the forced vital capacity.Also knowo Sarcoidosis of the lung is primarily an interstitial lung disease in which the inflammatory process involves the alveoli, small bronchi and small blood vessesls,o Pleura is involved in 1-5% of cases almost always manifesting as unilateral pleural effusionsQ. The effusions usually clear within a few week,o Pneumothorax of hydropneumothorax is observed in sarcoidosis but is very rare.